TRUE about mycoplasma is -
1. Causes lung infection
2. Penicillin is drug of choice
3. Thick cell wall
4. Thallium acetate inhibits the growth

Correct answer: 1. Causes lung infection